Not true about Fosphenytoin is?
1. Used for GTCS
2. Prodrug of phenytoin
3. Lipid soluble
4. Highly protein bound

Correct answer: 3. Lipid soluble

Explanation: Ans. is 'c' i.e., Lipid soluble o Fosphenytoin is water soluble prodrug of phenytoin has been introduced to overcome the difficulites in iv adminstration of pheytoin in status epilepticus. o Fosphenytoin is cleaved into phenytoin by nonspecific phsophatases in red blood cells, liver and other tissues. o Fosphenytoin has high plasma protein binding and it displaces phenytoin from plasma proteins, resulting in increased free phenytoin concentrations until the conversion of fosphenytoin to phenytoin is complete. o On iv injection, fosphenytoin is less damaging to vascular intima, therefore can be injected at a faster rate. o While phenytoin cannot be injected in a drip of glucose solution, fosphenytoin can be inected with both saline and glucose. o Fosphenytoin is useful for adults with partial or generalized seizures when intravenous or intramuscular administration is indicated